The head quarters of UNESCO is located in
1. New Delhi
2. Geneva
3. Paris
4. New York

Correct answer: 3. Paris

Explanation: The United Nations Educational, Scientific and Cultural Organization (UNESCO is a specialized agency of the United nations (UN) based in Paris , France. Its declared purpose is to contribute to promoting international collaboration in education, sciences, and culture in order to increase universal respect for justice, the rule of law , and human rights .